Protein that precipitates on heating to 45deg C and redissolves on boiling is:
1. Bence Jones Protein
2. Gamma globulin
3. Albumin
4. Myosin

Correct answer: 1. Bence Jones Protein

Explanation: A i.e. Bence Jones proteins- Bence Jones protein in urine can be identified by its characteristic property of coagulation (precipitation or clumping due to denaturation) when heated to 50 - 60deg C. But the clumps begin to desappear ((lit renaturation) when the sample is further heated to boiling point (70 - 100degC)Q Again on cooling clumps reappear (Heat test).- Cryoglobulins (immunoglobulin proteins) precipitate when cooled and dissolve on heating to higher temperaturesPyroglobulins (associated with multiple myeloma, macroglobulinemia & other neoplastic disorders) resembles Bence Jones proteins in that both precipitate on heating to about 50degC but do not dissolve when cooled.